Which ATT will cause transient memory loss
1. Ethionamide
2. INH
3. Ethambutol
4. Pyrazinamide

Correct answer: 2. INH

Explanation: The important side effects of INH include rash (2%), fever (1.2%), jaundice (0.6%) and peripheral neuritis (0.2%). If pyridoxine is not given concurrently, peripheral neuritis (most commonly paresthesia of feet and hands) is the most common reaction of INH and occurs in about 2% of persons receiving 5mg/kg of the drug daily. Neuropathy is more frequent in slow acetylators, individuals with DM, poor nutrition or anemia. The prophylactic administration of pyridoxine prevents the development of not only peripheral neuritis but also of most other nervous system disorders in practically all instances even when therapy lasts as long as 2 years. Precipitation of seizures, optic neuritis, and atrophy, muscle twitching, dizziness, ataxia, paresthesias, stupor, toxic encephalopathy are other neurotoxicity features Mental abnormalities with INH includes euphoria. TRANSIENT IMPAIRMENT OF MEMORY, separation of ideas and reality loss of self-control and florid psychosis. Ethionamide causes mental depression, drowsiness, and asthenia. Other neurological symptoms include olfactory disturbances, blurred vision, diplopia, dizziness, paresthesias, headache, restlessness, and tremors. The concomitant use of pyridoxine is recommended for patients being treated with ethionamide..